The healing contusion shows green color due to the presence of:
1. Bilirubin
2. Biliverdin
3. Hemosiderin
4. Oxy hemoglobin

Correct answer: 2. Biliverdin

Explanation: COLOR CHANGE PRESENCE OF AGING of contusion RED OXY-HEMOGLOBIN FEW HOURS BLUE DEOXY-HEMOGLOBIN FEW HOURS-3 DAYS BROWN HEMOSIDERIN 4-5 DAYS GREEN BILIVERDIN 6-7 DAYS YELLOW BILIRUBIN 7-12 DAYS